If mother is HBsAg positive then newborn should be given __________
1. Hepatitis B vaccine at 6 weeks
2. Hepatitis Vaccine at birth
3. Hepatitis B immunoglobulin within 24 hours of birth
4. Hepatitis B vaccine at birth and immunoglobulin within 24 hours at seperate sites

Correct answer: 4. Hepatitis B vaccine at birth and immunoglobulin within 24 hours at seperate sites

Explanation: Hepatitis B antigen {HBsAg} screening should be offered to all pregnant women.If the mother is known to be HBsAg negative ,it is not essential that HB vaccineton be given to the newborn at birth,vaccination can begin at 6 weeks. Where the mother's status is not known it is safer to vaccinate the newborn within a few hours of birth.Where the mother is known to be HBsAg possitive the child must receive the vaccine witin a few hours of birth ,along with Hepatitis B Immunoglobulin within 24 hours of birth.HBIG administeration upto 5 days may be effective.If HBIG not given baby must be immunised in an accelerated schedule of 0,1,2, months along with an additional dose at 9-12 months. Ref : ESSSENTIL PEDIATRICS,O.P.GHAI, PG NO:172,7 th edition